All are true about Menetrier disease except:
1. Excessive protein loss
2. Decreased mucus production
3. Acquired, premalignant condition
4. H. pylori is a predisposing factor in adults

Correct answer: 2. Decreased mucus production

Explanation: Ans. (b) Decreased mucus productionRef: Sabiston 19th Edition, Page 1222* Acquired premalignant disease showing brain like cerebriform mucosa on gross examination.* Pathological examination shows: Foveolar hyperplasia and absent parietal cell* Massive gastric folds appearing like brain is most common in fundus and body of stomach* Albumin replacement is given* Total gastrectomy indications: High protein loss, cancer, bleeding